In posterior dislocation of elbow, most prominent part
1. Coronoid process
2. Radial head
3. Olecranon process
4. ulnar styloid process

Correct answer: 3. Olecranon process

Explanation: In posterior dislocation of the elbow, olecranon is the most prominent part. there is severe pain at the elbow. The triceps tendon stands prominent (bowstringing of triceps). The three bony points relationship is reversed. There is often an associated median nerve palsy. Diagnosis is easily confirmed on X-rays Ref essential orthopaedic :maheshwari and mhaskar 6/e p105